A patient requires an infusion of procainamide. Its half-life is 2 hrs. The infusion is begun at 9 AM. At 1 PM on the same day, the blood concentration is found to be 3 mg/L. What is the probable steady-state concentration after 2 days of infusion?
1. 3 mg/L
2. 4 mg/L
3. 6 mg/L
4. 15 mg/L

Correct answer: 2. 4 mg/L